True about SA node are all except ?
1. Supplied by nodal artery
2. Primary pacemaker
3. Supplied by left vagus nerve
4. Made up of nodal cells and connective tissue

Correct answer: 3. Supplied by left vagus nerve

Explanation: SA node is located in the upper part of crista terminalis at the junction of SVC and the right atrium. It is the pacemaker of the heart and generates impulse at a rate of 70-100/min. SA node is suplied by nodal artery, a branch of RCA in 65% cases and a branch of circumflex branch of LCA in 35% cases. SA node is supplied by right vagus/parasympathetic (inhibitory) and right Sympathetic (excitatory) system as it develops from structures on the right side of embryo. The SA node consists of connective tissue stroma containing an irregular whorled network of cardiac nodal cells, the SA nodal artery and numerous nerve endings (postganglionic parasympathetic and postganglionic sympathetic).